Lipoprotein x is an indirect estimate of :
1. Hepatitis
2. Myocardial infarction
3. Cholestasis
4. Atherosclerosis

Correct answer: 3. Cholestasis

Explanation: Lipoprotein x : An abnormal Lipoprotein. Rich in amphipathic lipids Poor in neutral lipids Density between LDL and VLDL On electron microscopy - Onion like vesicular appearance Major protein present - albumin Indirect estimate of Cholestasis In conditions : LCAT deficiency Cholestatic States : Primary Biliary cirrhosis Primary Sclerosing Cholangitis